All of the following are Ectodermal derivatives EXCEPT
1. Neuron
2. Microglia
3. Lens of eye
4. Adrenal medulla

Correct answer: 2. Microglia

Explanation: (B) Microglia # Ectoderm Derivatives:> Somatic ectoderm: Epidermis Feathers, hair, skin glands, scales Lens of eye Teeth (enamel) Mouth lining Anterior pituitary (adenohypophysis) Anal canal ADRENAL MEDULLA> Neurogenic placodes: Olfactory organ Lateral line receptors and nerves Inner ear and cranial nerve VIII Ampullary electroreceptors and nerves Taste-buds> Microglia type of glial cells originated from yolk sac derived erythromyeloid progenitors.